Which of these syndromes is associated with microcephaly?
1. Down syndrome
2. Edward syndrome
3. Cri-du-chat syndrome
4. All of these

Correct answer: 4. All of these

Explanation: Ans. D. All of theseMicrocephaly or small head is subdivided into primary and secondary microcephaly. Primary microcephaly usually follows a Mendelian pattern of inheritance or is associated with certain syndromes. Down syndrome (trisomy 21), Edward syndrome (trisomy 18), Cri-du-chat syndrome (5p-), and Cornelia de Lange syndrome are associated with microcephaly.